Long lasting insecticidal nets can be used for:
1. 6 months
2. 1 year
3. 3 years
4. 10 years

Correct answer: 3. 3 years

Explanation: LONG LASTING INSECTICIDAL NETS (LLINS) LLINs are mosquito nets which have the insecticide incorporated in their fibre, so that it is not removed by as many as 20 washes. Because these nets have an even and quality controlled insecticide application, they are generally more effective than conventional ITNs. Furthermore the LLIN is more cost-effective (as it can be used for 3-5 years) than distribution of conventional bed nets and treating them with insecticide once or twice a year. Conventional ITNs are therefore only a rational option in areas, where the population already has so many nets that at least 50% of people sleep under one. Ref: